The following is the etiological agent of Rocky mountain spotted fever:
1. Rickettsia rickettsii
2. Rochalimaea quintana
3. Rickettsia tsutsugamushi
4. Coxiella burnetii

Correct answer: 1. Rickettsia rickettsii

Explanation: Ans. is 'a' i.e., Rickettsia Rickettsi SpeciesDiseaseVectorR. ProwazekiiEpidemic typhusLouseR. ProwazekiiBrill Zinsser diseaseLouseR. typhiEndemic typhusRat fleaR. RickettsiaRocky mountain spotted feverTickR. akariRickettsial poxGamasid miteOriental TsutsugamushiScrub typhusTrombiculid mite